All of the following causes relaxation of mesangial cells except
1. CAMP
2. Dopamine
3. PGF2
4. ANP

Correct answer: 3. PGF2

Explanation: PGE2,ANP,CAMP,Dopamine cause relaxation of mesangial cells.